Most common cause of malignant portal vein thrombosis is:
1. Renal cell carcinoma
2. Carcinoma prostate
3. Hepatocellular carcinoma
4. Carcinoma colon

Correct answer: 3. Hepatocellular carcinoma

Explanation: Malignancies are responsible for 21%-24% of overall cases of PVT. Among them hepatoma accounts for majority followed by pancreatic malignancy. PVT is common in patients affected by liver cirrhosis. Ref: World J Gastroenterol 2010 January 14; 16(2): 143-155.